Among the end results of planning mentioned below, which is not time or resource constrained?
1. Goal
2. Target
3. Objective
4. None of the above

Correct answer: 1. Goal

Explanation: Goals are general guidelines that explain what an individual or an organisation want to achieve. They are usually long-term and represent visions such as "protect public health and safety." Objectives define strategies or implementation steps to attain the identified goals. Unlike goals, objectives are specific, measurable, and have a defined completion date. They are more specific and outline the "who, what, when, where, and how" of reaching the goals. Ex: Pulse polio initiative was initiated with the objective of achieving hundred percent coverage under OPV Ref : Park 23rd edition Pgno : 868